Incudomalleolar joint is a ?
1. Ellipsoid joint
2. Pivot joint
3. Hinge joint
4. Saddle joint

Correct answer: 4. Saddle joint

Explanation: Synovial joints are classified as follows :1) Plane synovial joints (flat joints)2) Hinge joints (Ginglymus joints or ginglymi)3) Pivot or trochoid joints4) Condylar (bicondylar) joints5) Ellipsoid jointsNote : Metacarpophalangeal joints are ellipsoid joints functionally, but structurally they belong to condylar joints.6) Saddle (sellar) jointsThe articular surfaces are reciprocally saddle shaped, i.e. concavo-convex. Examples are first (thumb) carpometacarpal joint, sternoclavicular joint, calcaneocuboid joint, incudomalleolar joint (smallest saddle joint) and patellofemoral joint.7) Ball and socket (spheroidal) joints